Chemoprophylaxis is indicated for all except-
1. Typhoid
2. Meningococcal meningitis
3. Cholera
4. Plague

Correct answer: 1. Typhoid

Explanation: Chemoprophylaxis There is no role of Chemoprophylaxis in Typhoid. For chemoprophylaxis in meningococcal meningitis, Rifampicin, Ciprofloxacin & Ceftriaxone is used. Tetracycline is used in Cholera and Plague.